Hydatid cyst occurs most commonly in:
1. Lung
2. Liver
3. Spleen
4. Brain

Correct answer: 2. Liver

Explanation: Liver